Low Vd means
1. The drug has low half life
2. The drug does not accumulate in tissues
3. The drug has low bioavailability
4. The drug has weak plasma protein binding

Correct answer: 2. The drug does not accumulate in tissues

Explanation: The volume of distribution (V) relates the amount of drug in the body to the concentration of drug (C) in blood or plasmaVd = amount of drug in body/concentration of drug (C)Drugs with low volumes of distribution have much lower concentrations in extravascular tissue than in the vascular compartment.Katzung Pharmacology 12th edition Pg: 38